Human papilloma virus (HPV) serotype most often associated with invasive carcinoma cervix is:
1. HPV - 11
2. HPV - 16
3. HPV - 18
4. HPV - 31

Correct answer: 2. HPV - 16

Explanation: HPV - 16